All of the following structures passes through the Alcock canal, EXCEPT?
1. Internal pudendal vein
2. Internal pudendal nerve
3. Internal pudendal artery
4. Obturator internus muscle

Correct answer: 4. Obturator internus muscle

Explanation: Alcock canal or pudendal canal starts from the lesser sciatic notch and runs forward on the medial surface of the ischial tuberosity up to the pubic arch where it is continuous with the deep perineal pouch. Contents of the pudendal canal are: Pudendal nerve Pudendal artery and vein Within the canal pudendal nerve give rise to following branches: Perineal nerve Dorsal nerve of penis or clitoris.